Minimum dose of estrogen in combined OCP's
1. 20mcg
2. 30cg
3. 35mcg
4. 50mcg

Correct answer: 1. 20mcg